The gene that defines the localization of the tooth germs is:
1. Fgf-8
2. Bmp-2
3. Dlx-5
4. Pax-9

Correct answer: 4. Pax-9

Explanation: During tooth development, several mesenchymal molecules and their receptors act as mediators of epithelial-mesenchymal interactions. Bone morphogenetic proteins (BMPs) 2,4,7 mRNAs shift between epithelium and mesenchyme during regulation of tooth morphogenesis. Fibroblast growth factor (FGF8 FGF9) have been localized in the dental mesenchyme and act via downstream factors MSX1 and PAX9. Muscle speciﬁc homeobox genes MSX-1 and MSX-2, appear to be involved in epithelial-mesenchymal interactions and craniofacial development, particularly in the initiation of developmental position (MSX-1) and further development of (MSX-2) of tooth buds. Pax-9 is  transcription factor necessary for the development of (MSX 2) of tooth buds. Pax 9 is a transcription factor necessary for tooth morphology.